Bragg's peak is exhibited by
1. Proton
2. Electron
3. Neutron
4. All the above

Correct answer: 1. Proton

Explanation: Bragg curve plots the energy loss of ionizing radiation during its travel through matter.
Bragg peak is seen in proton.